Which of the following condition is most commonly associated with cholesteatoma formation?
1. Central perforation
2. Attico-antral perforation
3. Tubo-tympanic disease
4. Otosclerosis

Correct answer: 2. Attico-antral perforation

Explanation: Atticoantral type of CSOM is most commonly associated with cholesteatoma, granulations or osteitis. It is associated with an attic or marginal perforation. Tubotympanic type of CSOM is associated with central perforation.